A 52 year-old postmenopausal patient has evidence of low bone mineral density. She and her physician are considering therapy with raloxifene or a combination of conjugated estrogens and medroxyprogesterone acetate. Which of the following patient characteristics is MOST likely to lead them to select raloxifene?
1. Previous hysterectomy
2. Recurrent vaginitis
3. Strong family history of breast cancer
4. Troublesome hot flushes

Correct answer: 3. Strong family history of breast cancer

Explanation: -Raloxifene is a SERM used in post-menopausal osteoporosis due to its agonist action in bone. -It has additional advantage of causing decrease in risk of breast and endometrial cancer due to its estrogen antagonists action at these places. -Major adverse effect of raloxifene is thromboembolism and aggravation of hot flushes of menopause.